Pasteruisation of milk does not kills –
1. Anthrax
2. Brucella
3. Mycobacterium tuberculosis
4. Streptococcus

Correct answer: 1. Anthrax